Magistrate inquest is done in case of ?
1. Death by suicide
2. Death by accident
3. Death in psychiatry hospital
4. Death in suscpicious circumstances

Correct answer: 3. Death in psychiatry hospital

Explanation: Ans. is 'c' i.e., Death in psychiatry hospital Magistrate's inquest is done under sec 176 CrPC is case of :- Death in prison, reformatories, Borstal school. Death in police costody while under police interrogation. Death due to police firing. Dowry death; i.e. death of a married female less than 30 years of age or death within 7 years of marriage. Exhumation. Death in psychiatry hospital. Custodial rape.